The investigation of choice to detect a prolapsed intervertebral disc is?
1. C T Scan
2. MRI
3. Myelography
4. Radiograph

Correct answer: 2. MRI

Explanation: Ans. is 'b' i.e., MRI MRI is the investigation of choice for P1D because it shows the following structures clearlyo Prolapse of disco Compression of cordo Any problems with the discs above and belowo Canal Stneosiso Associated features like Ligamentum flavum hypertrophy and facetal arthropathy